All of the following are prion disease except:
1. KJD
2. Subacute spongiform encephalothies
3. Mink Encephalopathy
4. Burkitt lymphoma

Correct answer: 4. Burkitt lymphoma

Explanation: Ans. d. Burkitt lymphoma